Uterine artery is a branch of -
1. Anterior division of internal iliac
2. Posterior division of internal iliac
3. Anterior division of external iliac
4. Posterior division of external iliac

Correct answer: 1. Anterior division of internal iliac

Explanation: Ans. is 'a'i.e., Anterior division of internal iliac o Repeat from previous sessions